Long term steroid therapy can lead to suppression of hypothalamic–pituitary–adrenal axis. It can be overcome by using alternate day therapy with corticosteroids. Which of the following steroids are unsuitable for alternate day therapy for such purpose ?
1. Cortisol
2. Prednisolone
3. Betamethasone
4. Hydrocortisone

Correct answer: 3. Betamethasone